Normal cerebral blood flow is
1. 45 ml/min for every 100gm of brain tissue
2. 55 ml/min for every 100gm of brain tissue
3. 65 ml/min for every 100gm of brain tissue
4. 75 ml/min for every 100gm of brain tissue

Correct answer: 2. 55 ml/min for every 100gm of brain tissue

Explanation: Normal cerebral bloodflow (CBF) is about 55 mL per minute for every 100 gramsof brain tissue. Ischaemia results when this rate drops below20 mL per minute, and even lower levels will result in infarctionunless promptly corrected.Flow depends on cerebral perfusion pressure (CPP), the difference between mean arterial pressure (MAP) and intracranial pressure (ICP).CPP (75-105 mmHg) = MAP (90-110 mmHg) - ICP(5-15 mmHg)Bailey and love 27e 328